A 40-year-old man complains of nausea, vomiting, diarrhea, and cramping abdominal pain. His temperature is 38degC , blood pressure 90/60 mm Hg, and pulse rate 90/minute. On physical examination, the patient appears dehydrated, with sunken eyeballs, dry tongue, and poor skin turgor. Hyperpigmentation is noted in the palmar creases and the gingival margins. Laboratory results include fasting serum glucose of 62 mg/dL, BUN of 27 mg/dL, Na of 122 mEq/L, and K of 6.5 mEq/L. Which of the following is the most likely cause of this patient's symptoms?
1. Amyloidosis
2. Autoimmunity
3. Metastatic cancer
4. Sarcoidosis

Correct answer: 2. Autoimmunity

Explanation: - Given clinical features suggests the diagnosis of Primary chronic adrenal insufficiency (Addison disease). - MCC of addison disease in developed countries - Autoimmunity - MCC of addison disease in developing countries like India - Tuberculosis - It is fatal wasting disorder caused by failure of adrenal glands to produce glucocorticoids, mineralocorticoids & androgens. - If untreated, Addison disease is characterized by weakness, weight loss, gastrointestinal symptoms, hypotension, electrolyte disturbances & hyperpigmentation.